Earache in Acute tonsillitis is due to involvement of the following nerve:
1. Auriculotemporal Nerve
2. Facial Nerve
3. Glossophaiyngeal Nerve
4. Vagus Nerve

Correct answer: 3. Glossophaiyngeal Nerve

Explanation: (C) Glossopharyngeal Nerve[?]GLOSSOPHARYNGEAL NERVE CLINICAL SIGNIFICANCE:Palatine tonsil is supplied by Tonsillar branch of Glossopharyngeal nerve and maxillary division of trigeminal nerve.But Glossopharyngeal nerve is most likely to be damaged during acute tonsillitis and tonsillectomy. Referred Otalgia:Auriculotemporal Nerve (5th Cranial Nerve Branch):DentalLingual of tongueTM jointFloor of mouthGreater Auricular Nerve & Facial Nerve:C spine lesions & Neck lesions; Herpes (Inflammatory)Glossopharyngeal Nerve:TonsillarBase of tongueNasopharyngealVagus Nerve:Pharyngeal & Laryngeal lesionsCLINICAL SIGNIFICANCE OF NERVESAuriculotemporal Nerve Clinical significance:Is frequently injured in temporomandibular joint (TMJ) surgery, causing an ipsi-lateral parasthesia of the auricle and skin surrounding the ear.After a parotidectomy, the nerves from the Auriculotemporal Nerve that previously innervated the parotid gland can reattach to the sweat glands in the same region & causes sweating along the cheek with the consumption of foods (Frey's syndrome).Pain from parotitis, a condition that can be caused by mumps, will be carried by the auriculotemporal nerve tc the brain.[?]Facial nerve Clinical significance:Acute facial nerve paralysis is usually manifested by facial paralysis. Bell's palsy is one type of idiopathic acute facial nerve paralysis, which is more accurately described as a multiple cranial nerve ganglionitis that involves the facial nerve, and most likely results from viral infection and also sometimes as a result of Lyme disease.[?]Vagus nerve Clinical significance:Vagotomy is a now-obsolete therapy that was performed for peptic ulcer disease.Highly selective vagotomy is indicated for Peptic ulcer disease.Vagotomy is currently being researched as a less invasive alternative weight-loss procedure to gastric bypass surgery.Neuropathy in Chagas disease spreads in part via major parasympathetic branches of vagus nerve.Since the tonsils and tonsillar fossa are supplied by the glossopharyngeal nerve, any irritation or pain can be referred to the ear along the tympanic branch of the glossopharyngeal (Jacobson's) nerve.